An expiratory film is particularly useful to detect
1. Pleuraleffusion
2. Pneumothorax
3. Pulmonary edema
4. Pulmonary infarct

Correct answer: 2. Pneumothorax

Explanation: Best view for Pneumothorax - PA view in full expiration.